Drug of choice for invasive aspergillosis is ?
1. Posaconazole
2. Voriconazole
3. Liposomal AMB
4. Caspofungin

Correct answer: 2. Voriconazole

Explanation: Voriconazole(triazole) is the recommended primary therapy for patients withInvasive aspergillosis. Alternatives- Isavuconazole and Lipid Amphotericin Formulations.